Ibuprofen is contraindicated in
1. Patients having fever
2. Patients having asthma
3. Patients having amoebic dysentery
4. Patients having bronchitis

Correct answer: 2. Patients having asthma